True regarding light microscopy changes in minimal change disease:
1. Loss of foot process
2. Anti-Glomerular basement membrane antibodies seen
3. IgA deposits
4. No change seen

Correct answer: 4. No change seen

Explanation: Ans. D i.e. No change seen